Trichophagia is characterized by?
1. Compulsive pulling of hair
2. Compulsive eating of hair
3. Compulsive shopping
4. Compulsive stealing

Correct answer: 2. Compulsive eating of hair

Explanation: Ans. B. Compulsive eating of hairTrichophagia is compulsive eating of hair and is usually associated with trichotillomania i.e. compulsive pulling of hair.